CSF in meningococcal meningitis shows -
1. Gm '+ve' Diplococci, in pus cells
2. Gm '-ve' Diplococci in pus cells
3. Gm '-ve' bacilli
4. Gram '+ve' bacilli

Correct answer: 2. Gm '-ve' Diplococci in pus cells